Which of the following is the most common presentation of hemophilia A?
1. hematuria
2. melena
3. hemarthrosis
4. pressure neuropathy

Correct answer: 3. hemarthrosis

Explanation: The most common presentation is with pain in a weight-bearing joint such as the hip, knee, or ankle. Hematuria is also common. Bleeding can occur at almost any site without prior trauma.